Which of the following is the inheritance pattern of Familial Hypercholesterolemia?
1. Autosomal dominant
2. Autosomal recessive
3. X Linked dominant
4. X Linked recessive

Correct answer: 1. Autosomal dominant

Explanation: Familial hypercholesterolemia (FH) is an autosomal dominant disorder that causes severe elevations in total cholesterol and low-density lipoprotein cholesterol (LDLc). The LDL receptor gene is located on the short arm of chromosome 19. It is the primary determinant of hepatic LDL uptake, which normally processes approximately 70% of circulating LDL.